Female health worker-
1. Covers 5000 population
2. Covers 10000 population
3. Covers 100 population
4. None

Correct answer: 1. Covers 5000 population

Explanation: Under the multi purpose worker scheme,one health worker female and one health worker male are posted at each sub-center and are expected to cover a population of 5000 (3000 in tribal and hilly areas). However ,health worker female limits her activities among 350-500 families (refer pgno:908 park 23rd edition)